Size of dust particles reaching alveoli
1. <5 microns
2. 5-10 microns
3. >15 microns
4. 10-15 microns

Correct answer: 1. <5 microns

Explanation: Airborne transmission: Droplet nuclei Dried residue of droplets Tiny particles 1-10 microns e.g.
TB, influenza, chickenpox, measles, Q fever. Particles in 1-5 micron range are liable to be easily drawn into the alveoli of the lungs and may be retained there.
Dust Larger droplets expelled. Settle down in form part of dust. Streptococci, pathogenic bacteria, viruses, fungal spores and skin squamae - found in the dust of hospital wards.
Coccidiodomycosis is spread through airborne transmission of fungal spores. Streptococcal and staphylococcal infection, pneumonia. TB. Q fever, psittacosis